1st case of which of the following was found in shimoga district of Karnataka -
1. Yellow fever
2. Japenese encephalitis
3. KFD
4. Dengue fever

Correct answer: 3. KFD

Explanation: Ans. is 'c' i.e., KFD o KFD was first recognized in 1957 in Shimoga district of Karnataka State in South India. Local inhabitants called the disease "monkey disease" because of its association with dead monkeys. The disease wras later named after the locality-Kvasanur Forest- from where the virus was first isolated.